True about VDRL test:
1. Non-specific
2. Slide flocculation test
3. Best followed for drug therapy
4. All

Correct answer: 4. All

Explanation: Ans. is 'd' i.e., All(Ref: Ananthanarayan, 9th/e, p. 370, 374 and 8th/e, p. 375; Harrison, 19th/e, p. 1132,1385 and 17th/e, p. 1043)Type of VDRL test is Slide flocculation test.